Case finding in RNTCP is based on -
1. Sputum culture
2. Sputum microscopy
3. X -ray chest
4. Mantoux test / PCR

Correct answer: 2. Sputum microscopy

Explanation: Ans. is 'b' i.e., Sputum microscopy Following information has been added in 22nd/e of Park o Liquid culture method is now gold standard for TB diagnosis. Confirmation is done from biological characteristics of culture growth and selected molecular & biochemical tests. Rapid immunochromatographic assay (strip speciation tests) provides a definitive identification of M. tuberculosis and is recommended. J Cartridge based nucleic acid amplification test : -A second generation NAAT - based TB diagnostic test has sensitivity almost similar to liquid culture. o In microscopy, following methods helps in early diagnosis of large number of cases : - (i) Fluorescence microscopy by auramine stain, (ii) Light - emitting diode fluorescence microscopy (LEDs). o Drug susceptibility testing provide a definitive diagnosis of drug -resistant TB. A number of techniques are used : i) Phenotype method (detect drug resistance) : - Three methods are used : proportion, absolute concentration and resistance ratio. ii) Genotype methods (detect molecular mutations responsible for resistance) : - e.g., Molecular testing for rifampic in resistance.